Ortolani's test is done in:
1. CDH
2. Perthes disease
3. Posterior dislocation of hip
4. Septic arthritis

Correct answer: 1. CDH

Explanation: Ans: a (CDH) Ref: Maheswari, 3rd ed, p. 201Special tests designed for early detection of CDH are1) Barlow test2) Ortolani testBarlow test: Consists of 2 parts1st part: Hip & knee flexed & thighs gently adducted.Feel for abnormal posterior movement & sometimes dislocation with a distinct 'clink' of femoral head.2nd part: Thighs are gently abducted. If the hip was dislocated earlier, a distinct clink will be heard & felt indicating reduction of dislocated hip.Ortolani's test:Similar to 2nd part of Barlow's test.Hip & knee flexed and thighs gently abducted.A click of entrance will be felt as the femoral head slips back into the acetabulum from the position of dislocation.Few commonly asked named tests & signs: Alli'stest-CDH Barlow's test-CDH Ortolani's test-CDH Gallezi'ssign-CDH Hamilton ruler test-Anterior dislocation of shoulder Bryant's test-Anterior dislocation of shoulder Callaway's test-Anterior dislocation of shoulder Duga'stest-Anterior dislocation of shoulder Apprehension test-For recurrent dislocation of shoulder Sulcus sign-For inferior dislocation of shoulder Cozen'ssign-Tennis elbow Miller's sign-Tennis elbow Finkelstein'stest-For Dequervains tenosynovitis Kanavel'ssign-Ulnar bursa infection.(AIIMS 2007) Knee: Pivot shift test-Anterior cruciate ligament (ACL) injuryAnterior drawer's test-ACL injuryLachmann's test-ACL injuryPosterior drawer's test-PCL injuryMe Murray's test-Meniscal injuryApley's grinding test-Meniscal injuryAdduction & abduction tests- Medial & lateral collateral ligaments.